Inspiratory stridor is found in what kind of lesions
1. Supraglottic
2. Subglottic
3. Tracheal
4. Bronchus

Correct answer: 1. Supraglottic

Explanation: Airway obstruction above the glottis - an inspiratory stridor Obstruction in the lower trachea & bronchi - indicative of expiratory stridor Lesion in glottic or subglottic lesion. - A biphasic stridor So answer is option a - supraglottis Ref : PL Dhingra 7th edition ; pg num:- 333,334